Chronic persistent neutrophilic discharge is seen in -
1. Chronic osteomyelitis
2. Acute osteomyelitis
3. Septic arthritis
4. None

Correct answer: 1. Chronic osteomyelitis

Explanation: The commonest presenting symptom of chronic osteomyelitis is chronic discharging sinus.
Discharging sinus contains pus (i.e. mixture of neutrophils and other cells).